Agonal period is the duration between:
1. Traumatic event and information given to the relatives
2. Traumatic event and starting of the operation
3. Lethal trauma upto death
4. Death and postmortem examination

Correct answer: 3. Lethal trauma upto death

Explanation: Ans. Lethal trauma upto death